Leucocyte ALP>13 is seen in all except -
1. Chronic myeloid leukaemia
2. Leukemoid reaction
3. Pregnancy
4. Inflammatory conditions

Correct answer: 1. Chronic myeloid leukaemia

Explanation: Leukocyte alkaline phosphatase (LAP) is found within mature WBC. White blood cell levels of LAP can help in the diagnosis of certain conditions. Higher levels are seen in the physiological response, the leukemoid reaction, and in pathologies that include mature white blood cells, such as polycythemia vera (PV), essential thrombocytosis(ET), and in primary myelofibrosis (PM). Lower levels are found in pathologies that involve undeveloped leukocytes, such as chronic myelogenous leukemia (CML), paroxysmal nocturnal hemoglobinuria (PNH) and acute myelogenous leukemia (AML).